Which of the following is not true about World Health Report 2008?
1. Service delivery reforms
2. Leadership reforms
3. Economic reforms
4. Public Policy reforms

Correct answer: 3. Economic reforms

Explanation: World Health Report 2008 (“Primary Health Care – Now More Than Ever”) structures Primary health care reforms into 4 sets: 
– Public policy reforms (promote and protect community health)
– Leadership reforms (reliable health authorities)
– Universal coverage reforms (health equity)
– Service delivery reforms (people-centred, health systems)
World Health Report 2010 (“Health Systems Financing – The Path To Universal Coverage”) recommends 4 strategies: 
– Budgets (Governmental) reprioritization
– Innovative financing
– Revenue collection efficiency increase
– Development assistance